Toxic shock syndrome is mostly due to which vaccine?
1. Mumps
2. Measles
3. Salk
4. Tetanus

Correct answer: 2. Measles

Explanation: TSS occurs when Measles Vaccine is Contaminated or the same l is used for more than one session on the same day or next day. It reflects poor Quality of Immunization Services . It is totally preventable. Symptoms are severe watery diarrohoea, vomiting and high fever. Case fatality rates are high. It may cause death within 48 hrs.